Normal curve
1. Distribution of data is symmetrical
2. Mean > Mode
3. Mode > Mean
4. Median > Mean

Correct answer: 1. Distribution of data is symmetrical

Explanation: Ref:Parks 23rd edition pg 849 Stadardised normal curve : Smooth, bell-shaped, perfectly symmetrical curve based on an infinitely large number of observations . Total area of the curve= 1 Mean= 0 Standard deviation = 1 Mean, median and mode all coincide.